All-cause meningitis in the elderly except -
1. HSV2
2. Pneumococci
3. Gram negative bacteria
4. Listeria

Correct answer: 1. HSV2

Explanation: Causes of meningitis in elderly 

Pneumococci (most common)
Gram negative bacilli
Staphylococcus aureus
Meningiococci (2nd most common)
Listeria monocytogenes
Streptococcus
H. influenza
M. tuberculosis